Least rates of HIV transmission is seen in?
1. Forceps delivery
2. Normal delivery
3. Breast feeding
4. Cesarean Section

Correct answer: 4. Cesarean Section

Explanation: ANSWER: (D) Cesarea SectionREF: Williams Obstetric 22niedition chapter 59The two principal approaches suggested for prevention of maternal-neonatal transmission of HIVinfectionare antiretroviral therapy and cesarean delivery.Antiretroviral therapy should be offered to all HIV-infected pregnant women to begin maternal treatment as well as to reduce the risk of perinatal transmission regardless of CD4~ T-cell count or HIV RNA level.